A P diameter is maximum in which type of pelvis:
1. Platypelloid
2. Android
3. Anthropoid
4. Gynaecoid

Correct answer: 3. Anthropoid

Explanation: Remember the following points on pelvis (most of the questions are asked on them).

ormal female pelvis – Gynaecoid pelvis.
Male type pelvis – Android pelvis.
Most common type of pelvis – Gynaecoid pelvis.
Least common type pelvis – Platypelloid pelvis.
The only pelvis with AP diameter more than transverse diameter – Anthropoid pelvis.
Face to pubes delivery is most common in Anthropoid pelvis.
Direct occipitoposterior position is most common in Anthropoid pelvis.
Persistent occipitoposterior position is most common in Android pelvis.
Deep transverse arrest/ Nonrotation/dystocia is most common in Android pelvis.
Broad flat pelvis – Platypelloid pelvis.
Transverse diameter is much more than AP diameter – Platypelloid pelvis.
Engagement by exaggerated posterior asynclitism occurs in Platypelloid pelvis.
Super subparietal instead of biparietal diameter engages in Platypelloid pelvis.